In RMNCH+A Startegy, what is plus ?
1. Adolescent health
2. Reproductive health
3. DPT Vaccination
4. Newborn health

Correct answer: 1. Adolescent health

Explanation: Ans. is 'a' i.e., Adolescent health The RMNCH+A strategy is based on provision of comprehensive care through the five pillars, or thematic areas, of reproductive, maternal, neonatal, child, and adolescent health, and is guided by central tenets of equity, universal care, entitlement, and accountability. The "plus" within the strategy focusses on :Including adolescence for the first time as a distinct life stage.Linking maternal and child health to reproductive health, family planning, adolescent health. HIV, gender, preconception and prenatal diagnostic techniques.Linking home and community-based services to facility-based care.Ensuring linkages, referrals, and counter-referrals between and among health facilities at primary (primary health centre), secondary (community health centre), and tertiary levels (district hospital).